Reese ellsworth classification is used in ?
1. Retinoblastoma
2. Nephroblastoma
3. Rhabdomyosarcoma
4. Medulloblastoma

Correct answer: 1. Retinoblastoma

Explanation: Ans. is 'a' i.e., RetinoblastomaThe Reese-Ellsworth classification system was developed to predict the prognosis after treatment with radiation.